The National Health Policy 2002 target to be achieved by the year 2010 is -
1. Eradication of polio and yawsd
2. Elimination of leprosy
3. Achieve zero level growth of HIV\/AIDS
4. Reduce infant mortality rate 30\/1000 live births

Correct answer: 4. Reduce infant mortality rate 30\/1000 live births

Explanation: National health policy goals to be achieved by the year 2010 reduce mortality by 50% on account of TB ,malaria and other vector and waterborne diseases Reduce prevalence of blindness to 0.5% Reduce IMR to 30/1000 and MMR to 100/lakh Increase utilization of public health facilities from current level of <20% to>75%(refer pgno:873 park 23rd edition)